Leeway space is used during:
1. Early mesial shift.
2. Late mesial shift.
3. Mesial step.
4. None

Correct answer: 2. Late mesial shift.